Peutz Jeghers syndrome-all are true EXCEPT:
1. Pigmentation of lips & oral mucosa
2. Polyposis of jejunum
3. Radiotherapy is the treatment of choice
4. May turn malignant

Correct answer: 3. Radiotherapy is the treatment of choice

Explanation: Ans. C i.e. Radiotherapy is the treatment of choict.